Feature of aging periodontium is
1. Lacunae in bone and cementum
2. Increased cell size
3. Increased cell number
4. Scalloping of cementum & alveolar bone surface

Correct answer: 4. Scalloping of cementum & alveolar bone surface